The best treatment of contaminated wound of leg
1. Debridement and antibiotics
2. Hyperbaric oxygen
3. Amputation
4. None

Correct answer: 1. Debridement and antibiotics

Explanation: Ans. (a) Debridement and antibiotics(Ref: Bailey 26th 279)* Treatment of contaminated wound includes antibiotics or even a wound wash out. Dead tissue needs to be excised.